Tiazinadine is -
1. GABAA agonist
2. Central alpha2 agonist
3. Anti-muscarinic agent
4. GABAB agonist

Correct answer: 2. Central alpha2 agonist

Explanation: Ans. is 'b' i.e., Central alpha2 agonist o Tizanidine is Central a2 adrenergic agonist - inhibits release of excitatory amino acids in the spinal interneurones.